Which muscle is intorter of eye:
1. Inferior oblique
2. Inferior rectus
3. Superior rectus
4. Medial rectus

Correct answer: 3. Superior rectus

Explanation: C i.e. Superior rectus